The pouch of Douglas is situated between -
1. Bladder and the uterus
2. Bladder and pubic symphysis
3. Bladder and the rectum
4. Uterus and rectum

Correct answer: 4. Uterus and rectum

Explanation: In females rectouterine pouch (pouch of Douglas) lies between rectum (posteriorly) and uterus and posterior fornix of the vagina (anteriorly).